Which of the following vitamin is a component of ETC:
1. Vitamin B12
2. Riboflavin
3. Nicotinic acid
4. Thiamine

Correct answer: 2. Riboflavin

Explanation: In ETC, Complex I (FMN, Fe-S ) & Complex II (FAD , Fe-S) are involved, which contains FAD, FMN made of riboflavin. Therefore Riboflavin (Vitamin B2) is a component of ETC. Vitamin Constituent of Riboflavin (Vitamin B2) FAD, FMN. Nicotinic acid (Niacin) (Vitamin B3) NAD, NADP. Pantothenic acid (Vitamin B5) Coenzyme A. There are two different questions asked on this, BE CAREFUL: Vitamin, which is component of ETC, is Riboflavin as it is present in complex I & II, in the form of FMN & FAD respectively (Figure below). NAD or NADH is not a component of ETC complexes. NADH is a just a substrate for ETC complex I (Figure below) So, one can interpret that Vitamins which are used in ETC are both B2 & B3 as FADH2 or NADH can be the starting materials for ETC